All are causes of sideroblastic anaemia, except
1. Collagen vascular disease
2. Iron deficit
3. Lead poisoning
4. Cutaneous porphyria

Correct answer: 2. Iron deficit